who is the faamous personality involved in the history of psycho surgey
1. lucio bini
2. ugo cerletti
3. medunna
4. jacobson

Correct answer: 4. jacobson

Explanation: * Jacobson=================lobotomy in chimpanzees * Almedia lima+ egaz moniz===PF leukotomy * Subcaudate tractotmy======OCD * Limbic leukotomy=========OCD and depression * Anterior capsulotomy Anterior cingulotomy Ref. kaplon and sadock, synopsis of psychiatry, 11 th edition, pg no. 1065